Which of the following is the most logical sequence?
1. Impairment- Disease- Disability- Handicap
2. Disease- Impairment- Disability- Handicap
3. Disease- Impairment- handicap- Disability
4. Disease- Handicap- Impairment- Disability

Correct answer: 2. Disease- Impairment- Disability- Handicap

Explanation: The sequence of events leading to disability and handicap has been stated as follows: Disease- Impairment- Disability- HandicapAccident DiseaseLoss of foot - ImpairmentCannot walk - DisabilityUnemployed - HandicapPark 23e pg: 44